As per the perinatal risk stratification of preterm neonates and developmental outcomes, which of the following will constitute a moderate risk category?
1. Gestation 30-32 weeks, birth weight 1000-1500 gm, 1 - 3 days of hypoglycemia
2. Gestation < 28 weeks, birth weight 1251-1500 gm, 1 - 4 days of hypoglycemia
3. Gestation < 28 weeks, birth weight <1250 gm, 1 - 4 days of hypoglycemia
4. Gestation 30-32 weeks, birth weight 1251-1500 gm, more than 5 days of hypoglycemia

Correct answer: 1. Gestation 30-32 weeks, birth weight 1000-1500 gm, 1 - 3 days of hypoglycemia

Explanation: a. Gestation 30-32 weeks, birth weight 1000-1500gm, 1 - 3 days of hypoglycemia(Ref: NNF Practice Guidelines 2011)NNF Recommendations for risk stratification of preterm neonates for follow-up:High RiskModerate RiskMild Risk* Birth wt <1kg &/or gest <28 week* Birth weight 1000-1500g* Birth wt 1500g-2500g* Chronic lung disease/IVH/PVL* Gestational age < 33 weeks* HIE grade I* Severe HIE/Seizures/Meningitis* Twins/triplets* Transient hypoglycemia* Surgical conditions, e.g. CDH,TEF* Moderate HIE* Suspected sepsis* Birth wt <3rd or >97th centile* Hypoglycemia* Neonatal jaundice needing phototherapy* Mech ventilation for > 24 hrs* Neonatal sepsis* IVH grade 1* Persistent prolonged hypoglycemia* Hyperbilirubinemia >20mg/dL or need of exchange transfusion * Shock requiring inotropes* IVH grade 2 * Infants of HIV-positive mothers* Suboptimal home environment * Bilirubin encephalopathy